35-year-old woman following traumatic injury to right breast presents with a firm, round lump in right breast which is painless. Which statement is false regarding the condition she is having?
1. Dystrophic calcification can be seen
2. Liquefactive fat necrosis
3. Multinucleate giant cells and lipid laden macrophages present
4. Increased risk of breast cancer

Correct answer: 4. Increased risk of breast cancer

Explanation: She is most likely having inflammatory condition known as Fat necrosis of breast. Associated with trauma and surgery. Present as a painless palpable mass, skin thickening or retraction, or mammographic densities or calcifications. Lipase - Free fatty acid - FFA + Ca2+ - Dystrophic calcification Acute lesions show areas of liquefactive fat necrosis with neutrophils. After few days, multinucleate giant cells, lipid laden macrophages, proliferating fibroblasts and calcifications are seen. Mammography mimics malignancy clinically. Does not increase cancer risk